Idea of adrenal biopsy should be made after ruling out
1. Adrenocortical carcinoma
2. Metastases
3. Pheochromocytoma
4. Cushing's syndrome

Correct answer: 3. Pheochromocytoma

Explanation: Ans. (c) PheochromocytomaRef: Bailey and love, 26th ed; pg. 779Adrenal gland biopsy* Never biopsy an adrenal mass until pheochromocytoma has been biochemically excluded* The indication for adrenal gland biopsy is to confirm adrenal gland metastasis